The following statement is true regarding chrono-pharmacology is
1. Study of time related effects of drugs
2. Study of dose related effects of drugs
3. Study of adverse effects of drugs
4. Study of naturally obtained drugs

Correct answer: 1. Study of time related effects of drugs

Explanation: Chrono-pharmacology is the science dealing with effects of drugs in relation to the biological clock. many drugs act by chronopharmacology like pantaprazole to given at night , long acting insulin to be goiven at night,bronchial asthma medication to be giving in the evening. Ref: Rituparna maiti 1st ed.